Biological oxygen demand is calculated to know--- wastes –
1. Organic
2. Inorganic
3. Total solid
4. None

Correct answer: 1. Organic